Niacin deficiency causes all except
1. Dermatitis
2. Dactylitis
3. Diarrhea
4. Dementia

Correct answer: 2. Dactylitis

Explanation: The classic triad of pellagra is dermatitis, diarrhea, and dementia. Ref: Page 182; Nelson textbook of pediatrics; 17th edition